Blighted ovum is characterized by:
1. Avascular villi
2. Syncytial knot
3. Intervillous haemorrhage
4. Intracerebral haemorrhage

Correct answer: 1. Avascular villi

Explanation: A blighted ovum is a fertilized egg that implants but does not develop. In a blighted ovum, a gestational sac forms and grows; however, the embryo does not develop. So blighted ovum is also known as Anembryonic pregnancy. Blighted Ovum - Criteria Mean sac diameter >=25 mm No yolk sac/ Embryo seen Avascular Villi Non Viable Pregnancy